Blood Brain Barrier is/are formed by:
1. Oligodendrocytes
2. Microglial cell
3. Astrocytes
4. Schwann cell

Correct answer: 3. Astrocytes

Explanation: C i.e. Astrocytes; E i.e. Neuroglia